Cytogenetic abnormalities associated with lymphoplasmacytoid lymphoma is:
1. t(9;14)(p13;q32)
2. t(2;5)(p23;q35)
3. t(11;14)(q13;q32)
4. t(14;18)(q32;q21)

Correct answer: 1. t(9;14)(p13;q32)

Explanation: Disease Cytogenetic Abnormality Oncogene Mantle cell lymphoma t(11;14)(q13;q32) BCL-1, IgH Follicular lymphoma t(14;18)(q32;q21) BCL-2, IgH Diffuse large cell lymphoma t(3;-)(q27;-) t(17;-)(p13;-) BCL-6 p53 Burkitt's lymphoma, Burkitt's leukemia t(8;-)(q24;-) C-MYC CD30+ Anaplastic large cell lymphoma t(2;5)(p23;q35) ALK Lymphoplasmacytoid lymphoma t(9;14)(p13;q32) PAX5, IgH Ref: Harrison, E-18, P-921